What is the treatment of choice for glue ear?
1. Myringotomy with cold knife
2. Myringotomy with diode laser
3. Myringotomy with ventilation tube insertion
4. Conservative treatment with analgesics & antibiotics

Correct answer: 3. Myringotomy with ventilation tube insertion

Explanation: Ans. C Myringotomy with ventilation tube insertion Treatment of choice for glue ear is insertion of grommet (ventilation tube insertion). Tympanotomy / cortical mastoidectomy has a very limited role. and is not done nowadays for serious otitis media. Myringotomy arid aspiration of middle ear effusion without ventilation tube insertion has a short life and is not recommerided.